The most common site of the leak in CSF rhinorrhea is( REPEAT QUESTION)
1. Sphenoid sinus
2. Frontal sinus
3. Cribriform plate
4. Tegmen tympani

Correct answer: 3. Cribriform plate

Explanation: Leakage of CSF is most commonly seen in the anterior cranial fossa at the level of the cribriform plate as it is extremely thin. (Ref: Diseases of nose ear and throat; Logan Turner; pg 28)